PKD1 gene which encodes polycystin-1 protein which is involved in cell-cell and cell-matrix interactions, is located on which chromosome?
1. 17
2. 1
3. 16
4. 13

Correct answer: 3. 16

Explanation: PKD1 gene is located on chromosome 16p13.3. It encodes a large (460-kD) integral membrane protein named polycystin-1.